A patient has been hospitalized with pneumonia and is about to be discharged. A nurse provides discharge instructions to a patient and his family. Which misunderstanding by the family indicates the need for more detailed information?
1. The patient may resume normal home activities as tolerated but should avoid physical exertion and get adequate rest.
2. The patient should resume a normal diet with emphasis on nutritious, healthy foods.
3. The patient may discontinue the prescribed course of oral antibiotics once the symptoms have completely resolved.
4. The patient should continue use of the incentive spirometer to keep airways open and free of secretions.

Correct answer: 3. The patient may discontinue the prescribed course of oral antibiotics once the symptoms have completely resolved.

Explanation: It is always critical that patients being discharged from the hospital take prescribed medications as instructed. In the case of antibiotics, a full course must be completed even after symptoms have resolved to prevent incomplete eradication of the organism and recurrence of infection. The patient should resume normal activities as tolerated, as well as a nutritious diet. Continued use of the incentive spirometer after discharge will speed recovery and improve lung function.